Which of the following has cytoplasmic receptor:
1. Epinephrine
2. Insulin
3. FSH
4. Cortisol

Correct answer: 4. Cortisol